Investigation of choice in discrete thyroid swelling is
1. Isotope scans
2. Ultrasonography
3. Autoantibody titres
4. FNAC

Correct answer: 4. FNAC

Explanation: Fine-needle aspiration cytology is the investigation of choice in discrete thyroid swellings. FNAC has excellent patient compliance, is simple and quick to perform in the outpatient department and is readily repeated Comment : This question is based on above lines from bailey and love. In workup of solitary nodule of thyroid , thyroid profile is done after history and physical eamination. In normal or elevated TSH patients , USG neck is done. following which FNAC is done Previously thyroid scan used to be very important investigation in solitary nodule workup. Now its limited to toxic nodules. May be question is framed to highlight this point. Source : Sabiston 20th edition Pg : 890 Bailey and Love 26th edition Pg : 750